Which of the following is/are tuberculides
1. Lichen scrofulosorum
2. Lichen nichidus
3. Lichen aureus
4. All

Correct answer: 1. Lichen scrofulosorum

Explanation: A i.e., Lichen scrofulosorum